Neurological complications of meningitis include all of the following, except -
1. Seizures.
2. Increased intra-cranial pressure
3. Cerebral hamartoma
4. Subdural effusions.

Correct answer: 3. Cerebral hamartoma